In a chronic alcoholic patient all of the following drugs should be avoided except-
1. Cefamendole
2. Metronidazole
3. Chlorpropamide
4. Beclomethasone

Correct answer: 4. Beclomethasone

Explanation: Ans. is 'd' i.e., Beclomethasone Disuifiram like reactiono Certain drugs when taken concurrently with alcohol produce disuljiram like actions.o That means these drugs produce similar distressing symptoms as disuifiram, when taken with alcohol - flushing, burning sensation, throbbing headache, prespiration, unesasiness, tightness in chest, vomiting, dizziness, visual disturbances, mental confusion, postural fainting and circulatory collapse.o The drugs causing Disuifiram like actions(i) Chlorpropr amide(vi) Animal charcol(ii) Cephalosporins (Cefoperozone, moxalactam, cefamandole)(vii) Griseofulvin(iii) Metronidazole(viii) Procarbazine(iv) Citrated calcium carbamide(ix) Tinidazine(v) Cynamide